The skeletal muscles relaxant causing significant release of histamine is:
1. Pancuronium.
2. Atracurium.
3. Gallamine.
4. D-tubocurarine.

Correct answer: 4. D-tubocurarine.

Explanation: Due to its bulky cationic nature of d-tubocurarine it has a direct action on the mast cell that promotes release of histamine. Certain responses to tubocurarine like bronchospasm, hypotension, and excessive bronchial and salivary secretion appear to be histamine mediated. Atracurium, gallamine and pancuronium have less tendency to cause histamine release.